Pointing finger is due to injury to which nerve?
1. Median
2. Radial
3. Ulnar
4. Axillary

Correct answer: 1. Median

Explanation: Complete interruption of the median nerve results in inability to pronate the forearm or flex the hand in a radial direction, paralysis of flexion of the index finger and terminal phalanx of the thumb, weakness of flexion of the remaining fingers, weakness of opposition and abduction of the thumb in the plane at a right angle to the palm (abductor and flexor pollicis brevis), and sensory impairment over the radial two-thirds of the palm and dorsum of the distal phalanges of the index and third fingers. The nerve may be injured in the axilla by dislocation of the shoulder and in any part of its course by stab, gunshot, or other types of wounds, and like the radial nerve, is often a component of the mononeuritis multiplex syndrome. Ref : Samuels M.A. (2009). Chapter 46. Diseases of the Peripheral Nerves. In M.A. Samuels (Ed), Adams and Victor's Principles of Neurology, 9e.